T. pallidum was discovered by
1. Schaudin and Hoffman
2. Ellerman and Bang
3. Twort
4. Robert Koch

Correct answer: 1. Schaudin and Hoffman

Explanation: Ans. a (Schaudin and Hoffman) (Ref. Anantanarayan, Microbiology, 8th/ p. 5; 377)Treponema pallidum, the causative agent of syphilis, was discovered by Schaudinn and Hoffmann (1905) in the chancres and ingunal nodes of syphilitic pts. Pallidum refers to pale staining.Important discoveries in MicrobiologySr. no.ScientistDiscovery/invention1ANTONY VAN LEEUWENHOEKMicroscope2AUGUSTINO BASSIEarliest discovery of a pathogenic microrganism2OLIVER WENDELL HOLMESHand washing for anti-sepsis.Concluded that puerperal sepsis is contagious.3LOUIS PASTEURMicrobial theory of fermentation.Coined the term vaccineAnthrax, cholera, Rabies vaccine.Principle of sterilization. Streptococci.Father of modern microbiology.4JENNERSmallpox vaccine5OGSTONDiscovered Staphylococci6NICOLAI ERTetanus bacillus7FRENKELPneumococcus8RUSKAElectron microscope9LISTER JOSEPHLaudable pus; Physical sterilization10METCHNIKOFFPhagocytosis (MH'05)11WRIGHTOpsonization12BURNETImmunosurviellance13LANDSTEINERBlood group antigen14FLEMINGPenicilium against Staph15JOHN HUNTERFather of experimental surgery16PRUISSNER (1997)Prion Proteins17JERNEIdiotypic network18BRUCEIdentified causative agent of Malta fever19LOEFFLERIsolated diphtheria bacillus20Schaudinn & Hoffmann (1905)Discovered spirochete of syphilis21BEIJERINCKCoined the term Virius22THE FIRST HUMAN PROVED TO HAVE VIRAL CAUSEYelow Fever23RuskaIntroduction of electron microscope24Ellerman and BangPossibilty that virus infection can lead to malignancy was first put forth25Twort and d'HerelleIndependently discovered a lytic phenomenon in bacterial cultures26Richet and PortierAnaphylaxis27NUTTALLObserved that fibrinated blood has bactericidal effect28BUCHNERObserved that Bactericidal effect of fibrinated blood can be abolished by heating the sera for 1 hr at 55degC29Von BEHRING AND KITASATOAntibody